Atractiloside act as
1. Uncoupler
2. Inhibitor of oxidative phosphorylation
3. Inhibitor of complex I of ETC
4. Inhibitor of complex III of ETC

Correct answer: 2. Inhibitor of oxidative phosphorylation

Explanation: Inhibitors of oxidative phosphorylation i. Atractyloside inhibits translocaseRef: DM Vasudevan Textbook of Medical Biochemistry, 6th edition, page no: 234